In-situ DNA nick end labeling can quantitate -
1. Fraction of cells in apoptotic pathways
2. Fraction of cells in S phase
3. p53 gene produce
4. bcr/abl gene

Correct answer: 1. Fraction of cells in apoptotic pathways

Explanation: In Situ Nick-End Labeling An in situ method for detecting areas of DNA which are nicked during APOPTOSIS. Terminal deoxynucleotidyl transferase is used to add labeled dUTP, in a template-independent manner, to the 3 prime OH ends of either single- or double-stranded DNA. The terminal deoxynucleotidyl transferase nick end labeling, or TUNEL, assay labels apoptosis on a single-cell level, making it more sensitive than agarose gel electrophoresis for analysis of DNA FRAGMENTATION. Ref Robbins 9/e p218